Best method of induction of labour in hydramnios:
1. High rupture of the membranes
2. Low rupture of the membranes
3. Abdominal amniocentesis followed by stabilising oxytocin drip
4. Prostaglandins

Correct answer: 3. Abdominal amniocentesis followed by stabilising oxytocin drip

Explanation: Ans. is c, i.e. Abdominal amniocentesis followed by stabilising oxytocin dripRef Dutta Obs 7/e, p 215Artificial rupture of membranes is C/l in polyhydramnios as it leads to sudden decompression of uterus which can cause abruptio placenta.Method of induction in these patients is:Amniocentesis - drainage of good amount of liquor - to check the favorable lie and presentation of the fetus - a stabilizing oxytocin infusion is started low - rupture of the membranes is done when the lie becomes stable and the presenting part gets fixed to the pelvis. This will minimize sudden decompression with separation of the placenta, change in lie of the fetus and cord prolapse.